Risk of HIV transmission is not seen with
1. Whole blood
2. Platelets
3. Plasma derived hepatitis B vaccine
4. Leucocytes

Correct answer: 3. Plasma derived hepatitis B vaccine

Explanation: * Intravenous drug abusers with no history of homosex- ual behavior compose the next largest group, represent- ing about 17% of all patients. * Recipients of blood and blood components (but not hemophiliacs) who received transfusions of HIV- infected whole blood or components (e.g., platelets, plasma) account for about 1% of patients. * Hemophiliacs, especially those who received large amounts of factor VIII or IX concentrates before 1985, make up less than 1% of all cases. * The epidemiology of HIV infection and AIDS is quite different in children (diagnosed when younger than 13 years of age). About 1% of all AIDS cases occur in this population, and the vast majority (about 90%) result from vertical transmission of virus from infected mother to the fetus or newborn Ref Robbins 9/e P244